Human Development Index is measured by all except
1. Under five mortality
2. Life expectancy at birth
3. Literacy
4. Per capita income

Correct answer: 1. Under five mortality

Explanation: Human development index (HDI) is measured by three dimensions.
a. Longevity (life expectancy at birth)
b. Knowledge (Adult literacy rate and mean years of schooling)
c. Income (real GDP per capita in purchasing power parity in US dollars) HDI is a more comprehensive measure of quality of human life than per capita income. HDI value ranges from 0 to 1.
HDI for India is 0.545.